In priapism, cavernous blood study will reveal:
1. pO2 < 30%, pCO2>60%
2. pCO2>60%
3. pCO2<60%
4. pO2<60%

Correct answer: 1. pO2 < 30%, pCO2>60%

Explanation: Blood Gas Values in Priapism Source pO2 (mmHg) pCO2 (mmHg) pH Normal arterial blood (room air) >90 <40 7.40 Normal mixed venous blood (room air) 40 50 7.35 Ischemic Priapism (First corporal aspirate) <30 >60 <7.25 Ref: Campbell 11th edition Pgno: 678